Loading dose of 25mg was needed to achieve 0.5mg / L of Plasma concentration. Volume of distribution is 40L. Calculate the Bioavailabity
1. 40%
2. 50%
3. 80%
4. 70%

Correct answer: 3. 80%